All cause weight gain, except :
1. Diabetes mellitus
2. Cushing's syndrome
3. Hypothyroidism
4. Insulin secreting tumour

Correct answer: 1. Diabetes mellitus

Explanation: Answer is A (Diabetes mellitus) : Endocrine and metabolic causes of weight loss include Hyperthyroidism Diabetes mellitus Pheochromocytoma Adrenal insufficiency